Respiratory rhythm is generated in ?
1. Pneumotaxic centre
2. Dorsal group of nucleus
3. Apneustic centre
4. Pre-Botzinger Complex

Correct answer: 4. Pre-Botzinger Complex

Explanation: Ans. is 'd' i.e., Pre-Botzinger Complex